Aerosol drug used for treatment of RSV infection in a child is?
1. Indinavir
2. Amantadine
3. Ribavirin
4. Tenofovir

Correct answer: 3. Ribavirin

Explanation: DOC for treatment of RSV infection is ribavirin Indinavir - protease inhibitor used in HIV Tenofovir - NRTI used in HIV Amantadine - used for influenza virus